Which is not true about Sturge weber syndrome -
1. Portwine Stain
2. Calcification in brain
3. Cortical atrophy
4. Intra cranial hamartoma

Correct answer: 4. Intra cranial hamartoma

Explanation: Sturge Weber Syndrome 

It is one of the hereditary neurocutaneous syndromes

Characterized by :

A large unilateral cutaneous angioma (port wine stain) of the face
Angiomas in the brain involving the ipsilateral cerebral hemisphere and meninges.
Adrenal pheochromocytoma
Cerebral angioma leads to cortical atrophy
The angiomas are visible radiologically due to its characteristic linear rail-track or tram-track calcification.


Intracranial hamartomas are seen in another neurocutaneous syndrome → tuberous sclerosis (Bournevilles ds)